Niemann-pick disease is due to the disturbance in:
1. Lipid metabolism
2. Protein metabolism
3. Carbohydrate metabolism
4. Mineral metabolism

Correct answer: 1. Lipid metabolism

Explanation: Progressive lysosomal accumulation of glycosphingolipids in the central nervous system leads to neurodegeneration, storage in visceral cells can lead to organomegaly, skeletal abnormalities, pulmonary infiltration, and other manifestations. Such diseases are due to defect in lipid metabolism.